In which of the following immunization is given after infection is started
1. Rabies
2. Poliomyelitis
3. Influenza
4. Herpes

Correct answer: 1. Rabies